Fructose from the intestine to enterocytes is transported through glucose transporter?
1. GLUT 1
2. GLUT 4
3. GLUT 5
4. GLUT 7

Correct answer: 3. GLUT 5